Which of the following liver tumor has a propensity to invade the portal or hepatic vein?
1. Cavernous hemangioma
2. Hepatocellular carcinoma
3. Focal nodular hyperplasia
4. Hepatic adenoma

Correct answer: 2. Hepatocellular carcinoma

Explanation: Hepatocellular carcinoma Characteristic of HCC; Propensity to invade the portal vein Causing "Multicentric & Bi-lobar" spread (in 75%-80%) . This happens because PORTAL VEINS are valveless .